The following are recognized causes of neutropenia EXCEPT
1. Corticosteroid therapy
2. Typhoid fever
3. Aplastic anemia
4. Viral infection

Correct answer: 1. Corticosteroid therapy